Which is the commonest Post splenectomy infection-
1. Streptococcus pyogenes
2. Staphylococcus aureus
3. Streptococcus Pneumoniae
4. Pseudomonas aeruginosa

Correct answer: 3. Streptococcus Pneumoniae